Chassar Moir surgery is done is a case of
1. Uterine inversion
2. Vesicovaginal fistula repair
3. Ureterovesical fistula repair
4. Retroverted uterus

Correct answer: 2. Vesicovaginal fistula repair

Explanation: Chassar moir technique is widely used in the repair of vesicovaginal fistula.
Vagina and bladder are separated all around by flap splitting method and sutured separately in two layers.